Most common site for Ca Pancreas?
1. Head
2. Body
3. Tail
4. Uncinate process

Correct answer: 1. Head

Explanation: Ans. (a) Head(Ref: Robbins 9th/pg 892-894; 8th/pg 900-903)Pancreatic Carcinoma isSite ofPancreatic Head (most common) Q > Diffuse > Body > Tail